A posthumous child is:
1. Still born
2. Child born after father s death
3. Child born after mother s death
4. Fictitious child claimed by a women as her own

Correct answer: 2. Child born after father s death

Explanation: Ans. (b) Child born after father's deathRef: The Essentials ofFSM by K.S. Narayan Reddy 31st ed./369* Posthumous child: child born after father's death, the mother being conceived by the said father.* Suppositious child: Fictitious child claimed by a women as her own, a women may pretend pregnancy & deliver and later produce a living child as her own or substitute a living male child for a dead child or for a living female child born for her.* Spurious or phantom child (pseudocyesis): usually seen in women nearing menopause or younger women with an intense desire for children.